Super infection is common in:
1. Narrow spectrum antibiotics
2. Immuno compromised host
3. Low spectrum antibiotics
4. Nutritional deficiency

Correct answer: 2. Immuno compromised host

Explanation: (Immuno-compromised host): Ref: 632-33-KDT(672-73-KDT6th)SUPERINFECTION (SUPRA INFECTION): This refers to the appearance of new infection as a result of antimicrobial therapy* Commonly associated with use of broad/extended spectrum antibiotics such as Tetracyclines, chloramphenicol, ampicilline, newer cephalosporins especially when combinations of these are employed.Super infections are more common when defence is compromised, as inTo minimize superinfection* Corticosteroid therapy* Leukemias and other malignancies, especially when treated with anticancer drugs (these are also immunosuppressants and decreases WBC count)* AIDS* Agranulocytosis* Diabetes, disseminated lupus erythematosus(I) Use specific (narrow spectrum) antimicrobial antibiotics(II) Do not use antimicrobials to treat trivial self limiting or unbeatable (viral) infections(III) Do not unnecessarily prolonged antimicrobial therapy